Obsession is a disorder of:
1. Perception
2. Thinking
3. Memory
4. Judgment

Correct answer: 2. Thinking

Explanation: Ans. Thinking